Which of the following is TRUE regarding anterior epistaxis?
1. Patient is kept in sitting and slight leaning forward position while compressing the nares
2. Topical phenylephrine is contraindicated as it increases blood pressure
3. Commonly from Kiesselbach venous plexus in the anterior septum
4. Foley's nasal tamponade is a treatment option

Correct answer: 1. Patient is kept in sitting and slight leaning forward position while compressing the nares

Explanation: (a) Patient is kept in sitting and slight leaning forward position while compressing the nares(Ref. Cummings, 6th ed., 684)Phenylephrine being a decongestant is used to prepare the nose before cauterization.Foley's nasal tamponade is done in posterior nasal space in posterior epistaxis.